Congenital elevation of scapula is called -
1. Sprengelshouder
2. Bouchard
3. Boutennier
4. None of the above

Correct answer: 1. Sprengelshouder

Explanation: Ans. is 'a' i.e., Sprengel shoulder Congenital high scapula (sprengel's shoulder)o Congenital high scapula is an uncommon congenital deformity characterized by an abnormally high position and relative fixity of scapula.o The anomaly represents a failure of the scapula to descend during development to its normal thoracic position.